Coral red-fluorescence wood's Lamp seen in?
1. Porphyria cutanea tarda
2. Erythrasma
3. Livedo-reticulris
4. Hypomelanosis

Correct answer: 2. Erythrasma

Explanation: B i.e. Erythrasma Disease Colour Tinea capitisQ Light / yellow-green Tinea/Pityriasis versicolor Apple-green / golden? yellow Pseudomonas infection Greenish white / pale blue Psoriasis Pale blue Tuberous sclerosis Blue white (Ash leaf spots) Vitiligo Total white Erythrasma (corynebacterium minutissimum) Coral red/ pink(2 Porphyria cutanea tardaQ Red/Pink urine0